Equilibrium pressure in the absence of flowpressure is called
1. Mean circulatory filling pressure
2. Critical closing pressure
3. Perfusion pressure
4. Pulse pressure

Correct answer: 1. Mean circulatory filling pressure

Explanation: Mean Circulatory Filling PressureWhen heart pumping is stopped by shocking the heart with electricity to cause ventricular fibrillation or is stopped in any other way, flow of blood everywhere in the circulation ceases a few seconds later.Without blood flow, the pressures everywhere in the circulation become equal. This equilibrated pressure level is called the mean circulatory filling pressure.Effect of blood volume on mean circulatory filling pressureThe greater the volume of blood in the circulation, the greater is the mean circulatory filling pressure, because extra blood volume stretches the walls of the vasculature.Blood volume of about 4000 milliliters, the mean circulatory filling pressure is close to zero because this is the"unstressed volume" of the circulation, but at a volume of 5000 mL the filling pressure is the normal value of 7 mm Hg. Similarly, at still higher volumes, the mean circulatory filling pressure increases almost linearly.Critical Closing PressureWhen pressure falls below a critical level in blood vessels, called the critical closing pressure, blood flow ceases as the blood vessels and completely collapsed.(Refer: Ganong's Review of Medical physiology 24th edition,pg no: 582)